Pantothenic acid containing coenzyme is involved in:
1. Carboxylation
2. Acetylation
3. Decarboxylation
4. Dehydrogenation

Correct answer: 2. Acetylation

Explanation: Pantothenic acid containing coenzyme is Coenzyme A, which is involved in Acetylation reactions. Biochemical Role of Pantothenic Acid- Acyl carrier protein: Role in fatty acid synthesis CoA: has role in TCA, haem synthesis, lipogenesis, fatty acid oxidation. Active group of CoA is a free SH group or Thiol to which acyl groups can be covalently linked to form thio ester bond. E.g. Acetyl CoA .